OC pills intake cause psychiatric symptoms, and abdominal pain. Diagnosis is :
1. Acute intermittent porphyria
2. Systemic lupus
3. Thromobosis
4. Anemia

Correct answer: 1. Acute intermittent porphyria

Explanation: Ans. is a i.e. Acute intermittent Porphyria Patient taking OCP's and presenting with abdominal pain and psychiatric problem, diagnosis is undoubtedly Acute Intermittent Porphyria as OCP's can precipitate porphyria Some drugs which precipitate Porphyria are : Barbiturates * Sulfonamide antibiotics Meprobamate * Gluthemide Phenytoin * Carbamazepine Valproic acid * Pyrazolones Griseofulvin * Ergots Synthetic estrogen/progestogen (OCP) * Danazol Alcohol * Succinimide